Metal on metal articulation should be avoided in:
1. Osteonecrosis
2. Young female
3. Inflammatory arthritis
4. Revision surgery

Correct answer: 2. Young female

Explanation: Metal on metal articulation should be avoided in: Young females of child bearing age, as metal ions may cross the placenta and damage the fetus. Renal insufficiency- as kidneys are responsible for eliminating metal ions from the blood. Metal hypersensitivity